Fecal leucocytes are absent in all the following EXCEPT-
1. Giardiasis
2. Cryptosporidiasis
3. Campylobacter infection
4. Clostridium perfringes infection

Correct answer: 3. Campylobacter infection